Speckled pattern is seen in -
1. Anti Sm antibody
2. Anti ds DNA antibody
3. Anti histone antibody
4. Anti chromatin antibody

Correct answer: 1. Anti Sm antibody

Explanation: Ans. is 'a' i.e., Anti Sm antibody o The most commonly used method to detect antinuclear antibodies is indirect immunofluorescence. o The pattern of nuclear fluorescence suggests the type of antibody present in patient's serum. o Four basic patterns are recognized :? 1. Homogenous or diffuse nuclear chromatin staining ----> Reflects antihistone and antichromatin antibodies. 2. Rim or peripheral staining Anti ds DNA antibody. 3. Speckled pattern --> Most common pattern on immunofluorescence. Reflects the presence of non DNA nuclear contents --> anti Sm, anti - Ro, anti-La, anti SS-A, and anti SS-B antibodies. 4. Nucleolar pattern --> Nucleolar RNA.